Treatment of snakebite all, except
1. Firm bandage to occlude lymphatic
2. Incision over wound
3. Reassure the patient
4. Immobilization of bitten part

Correct answer: 2. Incision over wound

Explanation: Ans. Incision over wound